Which form of actinomycosis is not seen:
1. Cervicofacial
2. Thoracic
3. Abdominal
4. Madura foot

Correct answer: 4. Madura foot

Explanation: Ans: d (Madura foot) Ref: Ananthanarayan, ed, p. 400Actinomycosis in human beings occur in 4 main clinical forms:1. Cervicofacial- with lesions on cheek & submaxillary region2. Thoracic-with lesions in lung, pleura & pericardium3. Abdominal- with lesions around the caecum, portal veins and liver4. Pelvic- associated with the use of IUCD* Actinomycetes are transitional forms in between bacteria & fungi* Considered as true bacteria with superficial resemblance to fungiActinomycetesActinomycesNocardiaAnaerobic, gram negativeNonacid fastEndogenous infectionMC. Organism A. israeliiAerobic; gram +veAcid fastExogenous infectionC/F: Human actinomycosisC/f:* Cervicofacial* Thoracic* Abdominal* Pelvic* Cutaneous --cellultis, local abscess, cutaneous lesions* Subcutaneous-actinomycotic mycetoma* Systemic-pulmonary disease, lung abscess.Cattle ---- lumpy jaw Lab diagnosisLab diagnosis1. Sulphur granules in pusM/E bacterial colonies (sunray appearance)2. Thioglycollate medium- fluffy ballsRx- Penicillin1. M/E; branching filaments2. CultureRx: Cotrimoxazole